Highest cholesterol content is seen in -
1. LDL
2. VLDL
3. Chylomicrons
4. IDL

Correct answer: 1. LDL

Explanation: Ans. is 'a' i.e., LDL oRT Maximum triglyceride contento Maximum exogenous triglyceride oRT Maximum endogenous triglyceriderto Maximum cholesterol content----ChylomicronsChylomicronsVLDLLDL